Which of the following is the most radiosensitive tissue:
1. Adrenal
2. Pancreas
3. Gonads
4. Uterus

Correct answer: 3. Gonads

Explanation: Ans. C: Gonads Most radiosensitive organs: Bone marrow Gonads Growing cartilage Prepubescent breast Organs with lowest radiosensitivity: Adrenal Vagina Uterus Pancreas